Radioisotope used for thyroid treatment of metastasis/ ablation:
1. I-123
2. I-131
3. I-83
4. I-90

Correct answer: 2. I-131

Explanation: Ans. B. I-131* Iodine-131 has a radioactive decay half-life of about eight days.* Iodine-131 exhibits a beta mode of decay and leads to death in cells that it penetrates up to several millimeters and hence is useful for thyroid ablation.* I-123 has a half-life of 13.22 hours and is a radioactive isotope of iodine used in nuclear medicine imaging, including single photon emission computed tomography.